Salpingitis / Endosalpingitis is best confirmed by:
1. Hysteroscopy + Laparoscopy
2. X - ray
3. Hysterosalpingography
4. Sonosalpingography

Correct answer: 1. Hysteroscopy + Laparoscopy

Explanation: Hysteroscopy + Laparoscopy